Feature of hemorrhagic disease of new born is ?
1. Prolonged prothrombin time
2. Defective platelet count
3. Prolonged bleeding time
4. Prolonged thrombin time

Correct answer: 1. Prolonged prothrombin time

Explanation: Ans. is 'a' i.e., Prolonged prothrombine timeo Normal new borns are moderately deficient in vitamin K.o This deficiency increases on 3'd 51h day when, vitamin K level falls further. The serum level of vitamin K starts increasing from 13th to 15th day of life and achieves adult level at 3 months.o This is normal, and does not produce any bleeding.o In hemorrhagic disease of the newborn there is delay in achieving the normal vitamin K level. Clinical Featureso Vitamin K deficiency produces severe bleeding.o Bleeding occurs from umbilical cord stump on 2"d/3rd day after birth.o Intracranial bleding and large intramuscular hemorrhages may occur.o Increased prothrombin time and increased partial thromboplastin time.T/To Parenteral vitamin K therapy.